P wave is absent in
1. Atrial fibrillation
2. CCF
3. Atrial flutter
4. PSVT

Correct answer: 1. Atrial fibrillation

Explanation: It is characterized by totally irregular and rapid rateThere are no recognizable P waveRef: Medical Physiology for Under Graduate students Indu Khurana 2015 pg no: 202